Which one of the following species of streptococci is usually not found in human dental plague.
1. S.mutans
2. S.sanguis
3. S.pyogens
4. S.salivarius

Correct answer: 3. S.pyogens